Which one is not Ranson's prognostic criteria in acute pancreatitis -
1. Age over 55 years
2. Blood glucose more than 200 mgs %
3. WBC more than 16000/mm3
4. Serum calcium more than 8 mg %

Correct answer: 4. Serum calcium more than 8 mg %